All the following are true about piedra except
1. Piedra is nodule formation on hair shaft
2. White piedra is caused by piedrae hortae
3. Piedrae hortae is a phaeoid fungus
4. Piedrae hortae produces reddish brown colonies

Correct answer: 2. White piedra is caused by piedrae hortae

Explanation: White piedra is caused by Trichosporon beigelli